False about resuscitation of burns patient:
1. Preferred solution is ringer lactate
2. Fluid shift to extravascular space happens maximum first 24 hours.
3. Parkland formula used to calculate fluid quantity: 6 mL/Kg body weight per % TBSA burns
4. Have mean arterial pressure as 60 mm Hg

Correct answer: 3. Parkland formula used to calculate fluid quantity: 6 mL/Kg body weight per % TBSA burns

Explanation: Ans. (c) Parkland formula used to calculate fluid quantity: 6mL/kg body weight per % TBSA burns Ref: Schwartz 10th edition, Page 230* While resuscitation mean arterial pressure must be maintained at 60mmHg to ensure optimal end organ perfusion.* Urine output should be 30mL/hour and 1-1.5mL/kg/hour in children.* First 24 hours do not give colloids as there is maximum fluid shift from IC space to EC space and there will be edema.* Parkland formula =4mL/kg Body weight x TBSA of Burns half of the amount given in 8 hours and remaining in 16 hours.